Mannitol is not useful for ?
1. Glaucoma
2. Raised ICT
3. Impending renal failure
4. Pulmonary edema

Correct answer: 4. Pulmonary edema

Explanation: Ans. is 'd' i.e., Pulmonary edema Mannitol It is a nonelectrolyte of low molecular weight that is pharmacologically inert. It raises osmolarity of plasma and tubular fluid. Mannitol decreases tubular water and electrolyte reabsorption by ? Due to osmotic effect, fluid is retained in the lumen of PT. Inhibits transport processes in thick AscL+1 - most important cause of diuresis. Expands ECF (r intravascular volume) - draws water from the intracellular compartment - increases GFR and inhibits renin release. Increases renal blood flow, especially to medulla -3 medullary hypertonicity is reduced - corticomedullary osmotic gradient is dissipated - passive salt reabsoion is reduced. Uses - Raised IOT (glaucoma), raised ICT, to maintain. GFR and urine flow in impending renal failure, and to counteract low osmolality of plasma/ECF due to rapid hemodialysis. Contraindications - Acute tubular necrosis (ARF), anuria, pulmonary edema, Acute LVF, cerebral hemorrhage.